Lecithin Sphingomyelin ratio in amniotic fluid is used to assess the maturity of :
1. Fetal liver
2. Fetal lung
3. Placenta
4. Fetal kidney

Correct answer: 2. Fetal lung

Explanation: Fetal lung